All of the following statements about estrogen are TRUE EXCEPT:
1. Decreases HDL
2. Increases triglycerides
3. Increases turnover of LDL receptors
4. Increases apolipoprotein A

Correct answer: 1. Decreases HDL

Explanation: Estrogen decrease plasma LDL cholesterol while HDL and triglyceride levels are raised Estrogen's known effects on the cardiovascular system include a mix of positive and negative: Increases HDL cholesterol Decreases LDL cholesterol Promotes blood clot formation, and also causes some changes that have the opposite effect Dilates blood vessels so blood flow increases (Ref. Essentials of medical pharmacology TD Tripathi 7th edition page no.307)